Good pasture's syndrome is characterised by ?
1. Necrotisting hemorrhagic interstitial pneumonitis
2. Alveolitis
3. Patchy consolidation
4. Pulmonary edema

Correct answer: 1. Necrotisting hemorrhagic interstitial pneumonitis

Explanation: Ans. is 'a' i.e., Necrotizing hemorrhagic interstitial pneumonitis Goodpasture syndrome Goodpasture syndrome is a rare condition characterized by rapid destruction of the kidney and diffuse pulmonary hemorrhage. It is an autoimmune disease characterized by presence of circulating autoantibodies targeted against basement membrane of lung and kidney. These antibodies are directed against the noncollagenous domain of the oc-3 chain of type IV collegen (collegen of basement membrane). The antibodies initiate an inflammatory destruction of the basement membrane in kidney glomeruli and lung alveoli. In Goodpasture syndrome, immune reaction is type II hypersensitivity. Morphological changes Lung The lungs are heavy, with areas of red brown consolidation. There is focal necrosis of alveolar walls associated with intraalveolar hemorrhages. Alveoli contain hemosiderin-laden macrophages. Linear deposits of immunoglobulins along the basement membranes of the septal walls. Kidney Diffuse proliferative rapidly progressive glomerulonephritis. Focal necrotizing lesion and crescents in >50% of glomeruli. Linear deposits of immunoglobulins and complement along glomerular basement membrane. Clinical manifestations Occur typically in young males. Most cases begin clinically with respiratory symptoms, principally hemoptysis. Soon, manifestations of glomerulonephritis appear and typically present as nephritic syndrome - hematuria, nephritic urinary sediment, subnephrotic proteinuria, rapidly progressive renal failure. The common cause of death is renal failure.